Rickety rosary seen in all except –
1. Rickets
2. Scurvy
3. Chondrodystrophy
4. Syphilis

Correct answer: 4. Syphilis

Explanation: Rachitic (Rickety) rosary

The prominent knobs of bone at costochondral junctions of rickets patient is known as rachitic rosary or beading of ribs.
The knobs create the appearance of large beads under the skin of the rib cage, hence the name by analogy with the beads of a rosary.

Differential diagnosis of enlargement of costochondral junction (Rosary) --> Rickets, Scurvy, Chondrodystrophy